Malignant pustule occurs in -
1. Melanoma
2. Gas gangrene
3. Ovarian tumour
4. Anthrax

Correct answer: 4. Anthrax